All of the following statements about amiloride are true EXCEPT:
1. It antagonises the action of aldosterone
2. It is the drug of choice for the treatment of lithium induced diabetes insipidus
3. It decreases calcium loss in the urine
4. It is more potent than triamterene

Correct answer: 1. It antagonises the action of aldosterone

Explanation: Amiloride acts by blocking epithelial Na+ channels. It has no effect on aldosterone receptors. It is more potent than triamterene. It decreases Ca2+ loss in the urine It is the drug of choice for lithium induced DIas it blocks entry of Li ions through ENac channels.